Which insulin is never mixed with other insulins?
1. Utile
2. Aspart
3. Lispro
4. Glargine

Correct answer: 4. Glargine

Explanation: Ans. is 'd' i.e., Glargine o All insulin preparations are supplied at neutral pH (7.2-7.4) except glargine (supplied at pH 4.0); therefore, glargine cannot be mixed with any insulin.